Other than cataract, which one among the following is the highest prevalent cause of blindness in the world -
1. Corneal opacity
2. Diabetic retinopathy
3. Glaucoma
4. Trachoma

Correct answer: 3. Glaucoma

Explanation: Cataract 39% Glaucoma 10% tracoma3% diabeticretinopathy 4% Ref-Park's textbook of Preventive and social medicine 23rd edition. .